Sarcomere is the area between two:
1. A bands
2. I bands
3. Z lines
4. H bands

Correct answer: 3. Z lines

Explanation: Differences in the refractive indexes of the various parts of the muscle fiber are responsible for the characteristic cross-striations seen in skeletal muscle when viewed under the microscope. The parts of the cross-striations are frequently identified by letters. The light I band is divided by the dark Z line, and the dark A band has the lighter H band in its center. A transverse M line is seen in the middle of the H band, and this line plus the narrow light areas on either side of it are sometimes called the pseudo-H zone. The area between two adjacent Z lines is called a sarcomere. Ref: Ganong's Review of Medical Physiology 23rd edition, Chapter 5.